All of the following assays are used for estimation of total serum protein, except -
1. Biuret
2. Bradford
3. Lowry's
4. Bromocresol green

Correct answer: 4. Bromocresol green

Explanation: Commonly used serum protein estimation assays (calorimetric assays)

Biuret method
Lowry method
Bradford method
Smith method (Bichinconinicacid)